Breast milk is deficient in the following vitamins
1. Vitamin C
2. Vitamin A
3. Vitamin D
4. Vitamin E

Correct answer: 3. Vitamin D

Explanation: Breast milk is rich in all Vitamins except Vitamin D, K and B12 (in strict vegetarain Mother)